Which antibiotic acts by inhibiting cell wall synthesis
1. Cefipime
2. Lomefloxacin
3. Erythromycin
4. Tetracycline

Correct answer: 1. Cefipime

Explanation: Ans. is 'a' i.e. Cefipime